Which is the most economical and best screening method?
1. Mass screening
2. High risk screening
3. Multiphasic screening
4. None of the above

Correct answer: 2. High risk screening

Explanation: High risk screening: In High risk screening,besides effectiveness,economical use of resources is also seen as screening tests are selectively applied to individuals in high risk groups High risk selective screening gives maximum yield. E.g. HIV screening in commercial sex workers Therefore it is the most economical and best screening method.